Which of the following pubertal events in girls is not estrogen dependant:
1. Menstruation
2. Vaginal cornification
3. Height spurt
4. Hair growth

Correct answer: 4. Hair growth

Explanation: In girls the sequence of development of puberty is (Mnemonic: GTPH in males).
G = Growth spurt
T = Breast development (Thelarche)
P = Pubic hair development (Pubarche)
H = Height increases; peak growth velocity attained
in males = Menstruation starts (Menarche)
(Axillary hair develop after menstruation starts)
►The main hormone responsible for secondary sexual characteristics in females is estrogen
►Estrogen leads to
• Breast development
• Growth spurt, i.e. height attained
• Production of cervical mucus
• Cornification of vaginal cells
• Menstruation (menstruation occurs due to withdrawal of progesterone in an oestrogen primed uterus)
►Estrogen leads to
►As far as hair growth is concerned – in females also the hormone responsible is Androgens(produced by adrenals and ovary)